According to PCPNDT Act, 1994, punishment for doctor if found guilty for sex determination:
1. 1 year
2. 2 years
3. 3 years
4. 5 years

Correct answer: 3. 3 years

Explanation: Ans. 3 years